Molluscum contagiosum is caused by which of the following:
1. Polyomavirus
2. Reovirus
3. Flavivirus
4. Poxvirus

Correct answer: 4. Poxvirus

Explanation: Ans. D i.e. Poxvirus